Flaccid bullae with mucosal involvement and intraepidermal acantholysis are characteristic of?
1. Pemphygus vulgaris
2. Pemphigus foliaceous
3. Psoriasis
4. Vitiligo

Correct answer: 1. Pemphygus vulgaris

Explanation: Ans. is 'a' i.e., Pemphygus vulgaris Among the given options, two are vesicullabullous disorders :- Pemphigus vulgaris Pemphigus foliaceous Both of these cause flaccid bullae with intraepidermal blisters. but, mucosal involvement is common in pemphigus vulgaris (not in P foliaceous).